The rate-limiting enzyme in glycolysis is
1. Glucose 6-dehydrogenase
2. Phosphofructokinase
3. Glucokinase
4. Pyruvate kinase

Correct answer: 2. Phosphofructokinase

Explanation: Phosphofructokinase (PFK)(step3) is the most important rate-limiting enzyme for glycolysis pathway. Step 3The enzyme phosphofructokinase uses another ATP molecule to transfer a phosphate group to fructose 6-phosphate to form fructose 1, 6-bisphosphate.Fructose 6-phosphate (C6H11O6P1) + phosphofructokinase + ATP - ADP + Fructose 1, 6-bisphosphate (C6H10O6P2) Ref: DM Vasudevan, 7th edition, page no: 113